A child with increased conjugated bilirubin develops seizures and cataract the probable diagnosis is ?
1. Tyrosenemia
2. Fructosemia
3. Galactosemia
4. Glycogen storage disorder

Correct answer: 3. Galactosemia

Explanation: Ans. is 'c' i.e., Galactosemia